A person suffers from B27 associated reactive arthritis, urethritis and conjunctivitis. Which is most likely organism involved in this case?
1. Borrelia burgdorferi
2. Ureaplasma urealyticum
3. Beta-hemolytic streptococci
4. Streptococcus bovis

Correct answer: 2. Ureaplasma urealyticum

Explanation: Agents responsible for Reiter's syndrome: Salmonella enteritidis S. typhimurium S. heidelberg Yersinia enterocolitica Y. pseudotuberculosis Campylobacter fetus Shigella flexneri Genitourinary pathogens (such as Chlamydia or Ureaplasma urealyticum) Ref: Suurmond D. (2009). Section 14. The Skin in Immune, Autoimmune, and Rheumatic Disorders. In D. Suurmond (Ed), Fitzpatrick's Color Atlas & Synopsis of Clinical Dermatology, 6e.